In narcolepsy, the polysomnographic recording typically shows which of the following patterns?
1. REM intrusion during inappropriate periods
2. An absence of REM sleep in midcycle
3. Spike-and-wave EEG recording
4. Extreme muscular relaxation

Correct answer: 1. REM intrusion during inappropriate periods

Explanation: REM intrusion during inappropriate periods